The biochemical marker of lymphocytic leukaemia is -
1. Enolase
2. Peroxidase
3. Choline exterase
4. Periodic acid schiff

Correct answer: 4. Periodic acid schiff